In Gaucher's diseases, there is deficiency of ?
1. Glucocerebrosidase
2. Glucokinase
3. Sphingomyelinase
4. G-6PD

Correct answer: 1. Glucocerebrosidase

Explanation: Ans. is 'a' i.e., Glucocerebrosidase